Which of the following is the new drug for the treatment of multi drug resistant tuberculosis?
1. Bedaquiline
2. Linezolide
3. Levofloxacin
4. Cefepime

Correct answer: 1. Bedaquiline

Explanation: Ans. (A) Bedaquiline(Ref: Harrison 19th/e p1115, KDT 8th/e p823)Ref: Bedaquiline is a new drug approved for MDT tuberculosis. It acts by inhibiting ATP synthase in mycobacteria. Major adverse effect of this drug is QT prolongation.